Flower 'Vase' pattern of the pelvis in an intravenous urogram is seen in -
1. Polycystic kidney
2. Renal carcinoma
3. Horse shoe kidney
4. Ectopic kidney

Correct answer: 3. Horse shoe kidney